In acute sinusitis,the sinus more involved in children is:
1. maxillary
2. Sphenoid
3. Ethmoid
4. Frontal

Correct answer: 3. Ethmoid

Explanation: Most common sinus effected in children-ethmoid most common sinus effected in adult-Maxillary Ref.Dhingra 6/e,p 193